First retinal abnormality in diabetic retinopathy:
1. Microaneurysm
2. Hard exudates
3. Soft exudates
4. Cotton Wool spots

Correct answer: 1. Microaneurysm

Explanation: Ans. A (Microaneurysm) [Ref Khurana 4th/260-62; Parson 20th/294-98}"The earliest detectable lesion is microaneurysms in the macular area" -Khurana 4th/260Diabetic Retinopathy: Classification- 4 types Khurana 4th/260-62Non-proliferative Diabetic RetinopathyMicro aneurysmQ in macular area (the earliest detectable lesionQ)Retinal haemorrhage both deep (dot & blot haemorrhage) & superficial haemorrhages (flame shaped)Hard exudateQRetinal oedemaCotton-wool spotQProliferative Diabetic RetinopathyPDR develops in >50% of cases after about 25 years of the onset of diseaseThe hallmark Q of PDR is the occurence of neovasculari- ation'i over the changes of very severe NPDRVitreous detachment & vitreous haemorrhage may occurDiabetic MaculopathyMacular edemaQ is termed as clinically significant macular edemaChanges in macula affect visionD.Maculopathy-4 subtypeFocal exudative maculopathyDiffuse exudative maculopathyIschaemic maculopathyMixed maculopathyAdvanced Diabetic Eye DiseasePersistent vitreous haemorrhageTractiona! retinal detach m entQNeovascularglaucoma Q